Vocal cord position when cricoarytenoids are in neutral positions:
1. Paramedian
2. Median
3. Intermediate
4. Abducted

Correct answer: 3. Intermediate

Explanation: Ans: (c) IntermediateRef: Diseases of the Ear, Nose and Throat by PL Dhingra, 7th edition, 2018, Page 338-339The Neutral point of a joint is the position where there is the least amount of support from the ligaments and other non-muscular tissues around the joint.In this position, stress to the joint is minimized, which helps the joint to function well over time.Cord PositionLocation from midlinePosition in normal conditionPosition in diseased conditionsMedianMidlineNormal phonationRecurrent laryngeal nerve paralysisParamedian1.5 mmStrong whisperRecurrent laryngeal nerve paralysisIntermediate - Neutral position from which abduction and adduction take place3.5 mm Both superior and recurrent laryngeal nerve paralysisGentle abduction7 mmQuite respirationParalysis of adductorsFull abduction9.5 mmDeep respiration-